Structure contained within rectus sheath are all except
1. Internal thoracic artery
2. Superior epigastric artery
3. Inferior epigasbric artery
4. Rectus abdominis

Correct answer: 1. Internal thoracic artery

Explanation: The rectus sheath is formed by the aponeuroses of the transverse abdominal and the external and internal oblique muscles. It contains the rectus abdominis and pyramidalis muscles. It can be divided into anterior and posterior laminae. image ref - researchgate.net